A 50 years old male presents with massive splenomegaly. His differential diagnosis will include all, except:
1. Chronic myeloid leukemia
2. Polycythemia rubra vera
3. Hairy cell leukemia
4. Aplastic anemia

Correct answer: 4. Aplastic anemia

Explanation: Diseases Associated with Massive Splenomegaly Chronic myelogenous leukemia Gaucher's disease Lymphomas Chronic lymphocytic leukemia Hairy cell leukemia Sarcoidosis Myelofibrosis with myeloid metaplasia Autoimmune hemolytic anemia Polycythemia vera Diffuse splenic hemangiomatosis